During nutritional assessment of a surgical patient, the status of muscle of muscle protein is indicated by which one of the following parameters:
1. Serum albumin
2. Triceps skinfold thickness
3. Mid-arm circumference
4. Hb level

Correct answer: 3. Mid-arm circumference

Explanation: Ans. (c) Mid-arm circumferenceAnthropometric techniques of Nutritional Assessment:* Skin fold thickness - at Ulnar, Triceps, Subcapsular and Suprailiac regions.* Mid arm circumference